Which of the following statements is false regarding nerve conduction?
1. Obeys all or none phenomenon
2. Myelinated nerves conduct impulses faster
3. It is propagated at a constant velocity and amplitude
4. None of the above

Correct answer: 4. None of the above

Explanation: Action potential develops in the axon and the impulse is transmitted along it till the end.